Commonest histological type of rhabdomyosarcoma of orbit is
1. Embryonal type
2. Alveolar type
3. Pleomorphic type
4. None of the above

Correct answer: 1. Embryonal type

Explanation: Embryonal RMS

Occurs in children < 10 years of age.
Chr IIP involved.